Causes of erythroderma include following except
1. Psoriasis
2. Pompholyx
3. Pemphigus foliaceus
4. Pityriasis rubra pilaris

Correct answer: 2. Pompholyx

Explanation: Pompholyx is a form of eczema of the palms and soles in which oedema fluid accumulates to form visible vesicles or bullae. Erythroderma - Any inflammatory skin disease that affects >90% of BSA. Conditions causing Erythroderma in adults. * Hereditary disorders Ichthyosiform erythroderma Pityriasis rubra pilaris Psoriasis Eczema of various types Drugs-Especially organic Arsenic, Gold, Mercury; Occasionally, Penicillin, Barbiturates, etc. Pemphigus foliaceus Lymphoma and leukaemias Other skin diseases - Lichen planus - Dermatophytosis - Crusted scabies (Norwegian scabies) - Dermatomyositis